Gates-Glidden drill is:
1. Flexible and used at low speed
2. Flexible and used at high speed
3. Inflexible and used at low speed
4. Inflexible and used at high speed

Correct answer: 3. Inflexible and used at low speed